Occurrence of the following adverse reaction absolutely contraindicates further use of rifampicin in the treatment of tuberculosis :
1. Respiratory syndrome
2. Cutaneous syndrome
3. Flu like syndrome
4. Abdominal syndrome

Correct answer: 1. Respiratory syndrome